All the following clotting factors are dependent on vitamin K for their activity Except
1. II
2. V
3. VII
4. IX

Correct answer: 2. V

Explanation: Factors VII, IX, and X, and proteins C and S, are dependent on Vitamin K. Harper 30th edition pg:555